Cantrell pentology include all except
1. VSD
2. ASD
3. TOF
4. Trisomy 21

Correct answer: 4. Trisomy 21

Explanation: Cantrell pentology include diaphragmatic,cardiovascular anomalies,sternal anomalies, midline defect. Reference: GHAI Essential pediatrics, 8th edition